Chondrocalcinosis is seen in -
1. Ochronosis
2. Hypoparathyroidism
3. Rickets
4. Hypervitaminosis D

Correct answer: 1. Ochronosis

Explanation: Alkaptonuria (ochronosis) can cause chondrocalcinosis.